Advantages of binocular indirect ophthalmoscopy are all except
1. Peripheral retina can be visualized
2. Wider retinal field visualized
3. Opacities in the media visualized
4. More bright images seen

Correct answer: 3. Opacities in the media visualized